The diagnosis in a patient with 6th nerve palsy, retro orbital pain and persistent ear discharge is -
1. Gradenigo's syndrome
2. Sjogrens syndrome
3. Frey's syndrome
4. Rendu osler weber disease

Correct answer: 1. Gradenigo's syndrome